A neonate was found to have periventricular calcifications on CT brain. The best method for the diagnosis of this etiological agent is ______
1. Urine examination
2. Liver Biopsy
3. Blood examination
4. CSF examination

Correct answer: 1. Urine examination

Explanation: Urine examination is one of the best methods to diagnose congenital cytomegalovirus infection, in which periventricular calcification is seen For diagnosis of congenital CMV infection, urine and saliva are the best specimens for culture and saliva and cord blood are the best specimens for polymerase chain reaction (PCR). Among the given options, the best option would be urine. Congenital CMV infection: Clinical features: Characteristics signs and symptoms of clinically manifested infections: Intrauterine growth retardation(IUGR), prematurity, hepatosplenomegaly, jaundice, blue-berry muffin-like rash, thrombocytopenia, purpura, microcephaly and intracranial calcification, Other nuerological problems: Chorioretinitis, Sensineural hearing loss (SNHL), and mild increases in cerebrospinal fluid (CSF) protein. Asymptomatic congenital CMV infection is possibly a leading cause of SNHL, which occurs in 7-10% of all infants with congenital CMV infection, whether symptomatic at birth or not. Diagnosis: Definitive diagnosis: By virus isolation or demonstration of CMV DNA by PCR (performed first 2 weeks of life) Treatment: Ganciclovir treatment can limit hearing loss and improve the developmental outcome in symptomatically infected infants. Ref: Nelson 21st edition Pgno: 1721